10.Apple jelly nodules on the nasal septum are found in case of:
1. Tuberculosis
2. Syphilis
3. Lupus vulgaris
4. Rhinoscleroma

Correct answer: 3. Lupus vulgaris

Explanation: Lupus vulgaris is the chronic and more common form of tubercular infection affecting the skin and mucous membrane of nose. Apple jelly appearances are brown gelatinous nodules and are typical skin lesions of lupus. Ref Dhingra 6/e p 157